Most common site of minor salivary gland tumor
1. Cheek
2. Palate
3. Sub-lingual gland
4. Tongue

Correct answer: 2. Palate